Moclebemide is:
1. SSRI
2. Antipsychotic drug
3. MAO inhibitor
4. Tricyclic antidepressant

Correct answer: 3. MAO inhibitor

Explanation: Moclebemide is a reversible, competitive, selective MAOa inhibitor. Ref: KD Tripathi 8th ed.